Insulin acts through which channel/transporter-
1. GLUT-1
2. GLUT-4
3. SGLT-1
4. SGLT-2

Correct answer: 2. GLUT-4

Explanation: Ans. is 'b' i.e., GLUT-4 * Glucose is transported into the cells by two mechanismsi) Facilitated diffusion By glucose transporters (GLUT)ii) Secondary active transportBy sodium dependent glucose transporter (SGLT)* Insulin increases glucose uptake by increasing the GLUT4 on the cell membrane. Thus, insulin promotes facilitated diffusion i.e. diffusion along concentration gradient (not against concentration gradient). So, option b is incorrect.